Which of the following do not contribute to arch stability?
1. Cusps
2. Root forms
3. Embrasures
4. Periodontal fibers

Correct answer: 3. Embrasures